J.S. Quickfill is
1. The original engine driven Mcspadden's compactor with guttapercha already coated
2. Like thermafill another obturator
3. No different than original Mcspadden's compacter
4. Chemically softened gutta-percha

Correct answer: 1. The original engine driven Mcspadden's compactor with guttapercha already coated